In scleritis all are true except –
1. Scleromalacia perforans are more commonly associated with systemic diseases than posterior scleritis
2. Pain is not a prominent feature
3. Retinal detachment is a known complication
4. Glaucoma is a known complication

Correct answer: 2. Pain is not a prominent feature

Explanation: Patients complain of moderate to severe pain.
Scleromalacia perforans occurs in anterior scleritis and seen in long standing systemic disease like RA.
Retinal detachment is a known complication (though rare).
Secondary glaucoma may occur.